Widmark's formula is used for measurement of blood levels of:
1. Benzodiazepines
2. Barbiturates
3. Alcohol
4. Tranquilizers

Correct answer: 3. Alcohol

Explanation: Widmark's a = p.r.c., a= wt of alcohol in gms in body, p= body wt in kg, c= conc. of alcohol in blood in gm/kg, r = constant (0.6 for men, 0.5 for women).
For Urine, formula is- a = 3,4p.r.q, where q is the conc. of alcohol in urine in mg/kg.